Absorption of one of the following can occur without being broken down
1. Protein
2. Triglycerides, although this seen only in infants
3. a-Dextrins
4. Sucrose

Correct answer: 1. Protein

Explanation: Absorption of undigested protein can occur, especially in infants. This decreases with age. However, adults can still absorb undigested protein. The M cells (microfold cells) overlying the Payer's patches absorb antigens.